Most common complication of central venous line is catheterisation is
1. Air embolism
2. Pneumothorax
3. Catheter related sepsis
4. Injury to artery veins

Correct answer: 3. Catheter related sepsis

Explanation: Central Venous Catheterisation:
Most common complication - Catheter related sepsis 
Most dangerous complication - Pneumothorax